Anti rabies vaccine is prepared from-
1. Wild virus
2. Live attenuated virus
3. Street virus
4. Fixed virus

Correct answer: 4. Fixed virus